Engagement of fetal head is :
1. When the occiput has gone below the pelvic in let
2. When the widest diameter of the presenting part has passed through the pelvic inlet
3. When the presenting part can be push into the pelvic cavity
4. Synonymous with fixation of head

Correct answer: 2. When the widest diameter of the presenting part has passed through the pelvic inlet

Explanation: When the widest diameter of the presenting part has passed through the pelvic inlet